Proton Pump Inhibitors cause prolonged suppression of acid secretion despite having a short half-life because of the following reason:
1. Their pro-drug form gets activated gradually
2. They enter acid secretory canaliculi and stay there, blocking the secretion of acid for a long time
3. Enteric coated capsules which release the drug gradually
4. They inhibit the proton pump Irreversibly

Correct answer: 4. They inhibit the proton pump Irreversibly

Explanation: PPIs: They have Short half life. They act by Irreversibly inhibiting Proton Pump . Hence, acid secretion requires synthesis of new proton pumps . This Irreversible inhibition causes prolonged suppression of gastric secretion in the stomach even after the drug has been eliminated from the body therefore belong to category of "Hit and Run drug". e.g: OMEPRAZOLE, PANTOPRAZOLE, RABEPRAZOLE. The amount of H+/K+ ATPase increases after fasting; therefore, PPIs should be given before the first meal of the day. In most individuals, once daily dosing is sufficient to achieve an effective level of acid inhibition, and a second dose, which is occasionally necessary, can be administered before an evening meal. The delayed-release and enteric-coated tablets dissolve only at alkaline pH, whereas admixture of Omeprazole with Sodium bicarbonate simply neutralizes stomach acid; both strategies substantially improve the oral bioavailability of these acid-labile drugs. Patients for whom the oral route of administration is not available can be treated Parenterally with Esomeprazole sodium or Pantoprazole.